Laser used in the treatment of ureteric calculi is
1. Holmium
2. Nd-Yag
3. Argon
4. CO2

Correct answer: 1. Holmium

Explanation: The Ho:YAG laser is a 2140-nm pulsed laser that is used for soft-tissue and lithotripsy applications in urology. The 2140-nm wavelength is strongly absorbed in water, traveling only about 0.5 mm in the fluid medium, making it ideal for the urologicenvironment. In the prostate, the absorption depth is about 0.4 mm resulting in a high-energy density that leads to the rapid vaporization of tissue. In the 1980s, lasers first became of interest to researchers and clinicians in urology, and at the present time a wide range of lasers are employed to treat various soft-tissue and stone conditions. Although the holmium:yttrium-aluminum-garnet (Ho:YAG) laser has become the accepted gold standard for the treatment of urinary calculi at this time, various wavelengths of lasers are employed to treat soft-tissue conditions such as stricture disease, benign prostatic hyperplasia (BPH), urothelial cell cancer, and genital skin lesions ref : Campbell - Walsh urology 11th edition , chapter 11 , pg no :- 228